All of the following abnormalities are predisposing causes for torsion of the testis except
1. Inversion of testis
2. Low investment of tunica vaginalis
3. Between 10 to 25 years of age
4. Seperation of the epididymis

Correct answer: 2. Low investment of tunica vaginalis

Explanation: Predisposing factors for torsion testis are: *Inversion of the testis. *High investment of the tunica vaginalis which acts like a mesentry through which testis rotates. Here testis hangs like a clapper in bell. *Presence of gap between the body of the testis and epididymis, as a result of which testis twists over epididymis. *Heavy straining often ppts torsion d/t vigorous contraction of the cremaster which is attached spirally. Reference : page 1082 SRB's manual of surgery 5th edition